Lens contains the oldest cells in
1. nucleus
2. anterior surface of lens
3. posterior surface of lens
4. Nucleo-cortical junction

Correct answer: 1. nucleus

Explanation: Ans. is 'a' ie Nucleus Parson writes - "It is important to bear in mind that the central nucleus of the lens consists of the oldest cells and the periphery or cortex of the youngest."